Community-acquired Neonatal Pneumonia treatment of choice –
1. Cefotaxime + Amikacin
2. Ampicillin + Chloramphenicol
3. Ampicillin + Gentamicin
4. Metronidazole + Amikacin

Correct answer: 3. Ampicillin + Gentamicin

Explanation: Antibiotic treatment for Neonatal pneumonia should cover the common causative bacteria namely.
E-coli
Staphylococcus Aureus
Klebsiella pneumonie
Antibiotic therapy for neonatal infections

Neonatal pneumonia

Ampicillin + Gentamicin

Neonatal Meningitis

Ampicillin + Gentamicin + Chloramphenicol or
Cefotoxime and gentamycin or
Ampicillin and cefotaxime